True about oculocardiac reflex -
1. Increase heart rate with eye movement
2. Decrease heart rate with eye movement
3. Increase heart rate by traction on medial rectus
4. Decrease heart rate by traction on medial rectus

Correct answer: 4. Decrease heart rate by traction on medial rectus

Explanation: Ans. is 'd' i.e., Decrease heart rate by traction on medial rectus Oculocardiac reflexo Traction on the extraocular muscles or pressure on globe (eye ball) causes bradycardia, AV block, ventricular ectopy or asystole. It is especially seen with traction on the medial rectus, but can occur with stimulation of any of the orbital contents, including the periosteumo The reflex is trigeminovagal, i.e., afferent is via trigeminal and efferent is via vagal pathwayo The oculocardiac reflex is most common in pediatric patients undergoing strabismus surgery. Nonetheless, it can be evoked in all age groups and during a variety of ocular procedures including cataract extraction, enucleation, and retinal detachment repair.o Anticholinergic drugs (atropine, glycopyrrolate) is often helpful in preventing oculocardiac reflex.o Management of oculocardiac reflex includes cessation of surgical stimulus; adequate ventilation, oxygenation & anesthesia; intravenous atropine; infiltration of rectus muscles with local anesthetic.